Onion skin lesion in vessels is seen in
1. Malignant hypertension
2. Benign hypertension
3. Peripheral vascular disease
4. None

Correct answer: 1. Malignant hypertension

Explanation: Malignant hypertension, defined as blood pressure usually greater than 200/120 mm Hg, and occurs in only about 5% of persons with elevated blood pressure.Mostly affected organ is kidney. The kidney may be essentially normal in size or slightlyshrunken, depending on the duration and severity of the hypertensive disease. Small, pinpoint petechial hemorrhages may appear on the cortical surface from rupture of arterioles or glomerular capillaries, giving the kidney a peculiar, flea-bitten appearance.The microscopic changes reflect the pathogenetic events described earlier. Damage to the small vessels is manifestedas fibrinoid necrosis of the arterioles. The vessel walls show a homogeneous, granular eosinophilicappearance masking underlying detail. In the interlobular arteries and larger arterioles, proliferation of intimal cells after acute injury produces an onion-skin appearance.(Robbins basic pathology,9th edition.pg no.539)